Which of the following is a lung fluke ?
1. Clonorchis sinensis
2. Paragonimus westermani
3. Fasciolopsis buski
4. Schistosoma japonicum

Correct answer: 2. Paragonimus westermani

Explanation: Lung fluke is Paragonimus westermani associated with lung lesions & eosinophilia. Clonorchis sinensis is a liver fluke which causes hepatic symptoms .Fasciolopsis buski is an intestinal fluke. Schistosoma japonicum is a blood fluke. Reference Harrison20th edition pg 1154